Consolidation of which portion of the lung is likely to obliterate the Aortic knuckle on X–ray chest –
1. Left Lingula
2. Right upper lobe
3. Apex of lower lobe
4. Left upper lobe (posterior part)

Correct answer: 4. Left upper lobe (posterior part)